Best time to do quadruple test
1. 8-12 weeks
2. 11-15 weeks
3. 15-20 weeks
4. 18-22 weeks

Correct answer: 3. 15-20 weeks

Explanation: * The quad screen is done in the second trimester, usually between 15 and 20 weeks of pregnancy. * Ideally, the test should be performed in conjunction with first-trimester screening tests. REF : DUTTA BOOK OF OBSTETRICS